Gradenigo's syndrome is characterized by all except
1. Retro orbital pain
2. Abducent nerve involvement
3. Conductive deafness
4. Positive Griesinger sign

Correct answer: 4. Positive Griesinger sign

Explanation: Gradenigo's syndrome 1.Mastoid air cells responsible for Gradenigo's syndrome - petrous apex cells2.Triad - persistent ear discharge, external rectus palsy (6thnerve palsy) and retro orbital pain (7thnerve involvement)3.Seen in petrositis, a complication of CSOM4.Eagleton, Almoor, Ramadier & Frenker surgeries for draining petrositis abscesses(Refer: PL Dhingra, Textbook of Ear, Nose, Throat, 6thedition, pg no: 79)